Features of tumor lysis syndrome are-a)  Hypocalcemia b) Hyperphosphatemiac) Alkalosisd) Hypokalemia
1. ac
2. ab
3. ad
4. bc

Correct answer: 2. ab